Intramuscular injections are given in --------- quadrant of gluteus
1. Inferomedial
2. Superomedial
3. Superolateral
4. Inferolateral

Correct answer: 3. Superolateral

Explanation: To avoid injury to major arteries and nerves, injections are given usually in the upper or supero lateral part of gluteus Ref: KD Tripathi 8th ed